A 23 year old male patient presented with abrupt onset of fever, headache and myalgia followed by petechial rash and arthritis 2 to 10 days after exposure to a rat bite. He is diagnosed with Rat-bite fever. What is the causative organism of this disease?
1. Klebsiella granulomatis
2. Eikenella corrodens
3. Streptobacillus moniliformis
4. Erysipelothrix rhusiopathiae

Correct answer: 3. Streptobacillus moniliformis

Explanation: Streptobacillus moniliformis is a gram negative, non motile, non capsulated and highly pleomorphic short bacillus. They causes rat - bite fever. In man, organism enter through the wound caused by bite of rat. When infection is acquired by ingestion of food, milk/ water contaminated with excreta of rat it is known as Haverhill fever or Erythema arthriticumepidemicum. This is characterised by fever, polyarthritis and petechial rash. Good to know: Klebsiella granulomatis causes donovanosis. Eikenella corrodens causes opportunistic infections. Erysipelothrix rhusiopathiae causes erysipelas. Ref :Ananthanarayanan & Paniker's ed- 8th pg 39.